Which group of anticancer drugs temozolomide belong to :
1. Oral alkylating agent
2. Antitumor Antibiotic
3. Antimetabolite
4. Mitotic Spindle Inhibitor

Correct answer: 1. Oral alkylating agent

Explanation: Temozolomide is an alkylating agent that can be given orally.